Eukaryoes are different in causing infection because:
1. Diyide by biniary fission
2. Highly structured cell with organized cell organelles
3. Donot have all organelles
4. Evolutionally ancient

Correct answer: 2. Highly structured cell with organized cell organelles

Explanation: Ans. b. Highly structured cell with organized cell organelles